Radiotherapy is the treatment of choice for:
1. Nasopharyngeal Ca T3 N1
2. Supraglottic Ca T3N0
3. Glottic Ca T3N1
4. Subglottic Ca T3N0

Correct answer: 1. Nasopharyngeal Ca T3 N1